Most common organism responsible for gas gangrene is -
1. Clostridium perfringens
2. Clostridium difficile
3. Clostridium tetani
4. Clostridium septicum

Correct answer: 1. Clostridium perfringens

Explanation: Ans. is 'a' i.e., Clostridium perfringens o Most common cause of gas gangrene is Cl perfringens (Cl welchii). Other clostridia causing gas gangrene are Cl septicum, Cl novyi and Cl histolyticum.